The enzymes level used for evaluation of myopathies is
1. Gamma-glutamyl transferase (GGT)
2. Creatine kinase (CK)
3. Lactic dehydrogenase (LDH)
4. Alnine amino transferase (ALT)

Correct answer: 2. Creatine kinase (CK)

Explanation: Clinical suspicion for a myopathy is high, generally corroborated by elevated creatine kinase (CK) levels, it is often reasonable to skip or limit the extent of the EDX studies. Finally, EDX studies may be normal in selected muscle diseases (certain endocrine, metabolic, congenital, and mitochondrial myopathies). Thus, in the appropriate clinical context, normal EDX studies do not necessarily rule out the presence of a myopathy.